WHO recommended salt intake -
1. < 5 gm/d
2. < 6 gm/d
3. < 7 gm/d
4. < 8 gm/d

Correct answer: 1. < 5 gm/d

Explanation: Ans. is 'a' i.e., < 5 gm/d Ranges of population nutrient intake goalsDietary factorGoal (% of total energyunless otherwise statedTotal fatSaturated fatty acidsPolyunsaturated fatty acids (PUFAs)15-30%< 15%6-10%n-6 Polyunsaturated fatty' acids (PUFAs)n-3 Polyunsaturated fatty acids (PUFAs)Trans fatty acidsMonounsaturated fatty acids (MUFAs)5-8%1-2%<1%by differenceTotal carbohydrateFree sugarsProteinCholesterolSodium chloride (sodium)Fruits and vegetablesTotal dietary fibreNon-starch polysaccharides (NSP)55-75%<10%10-15%<300 mg per day< 5g per day (< 2g per day)3 400g per dayFrom foodsFrom foods